RDA in infant of Vitamin A is –
1. 350 g
2. 450 g
3. 600 g
4. 1000 g

Correct answer: 1. 350 g

Explanation: RDA of vitamin A in infants is 350 g or 1150 IU.